A patient presents with lower gastrointestinal bleed. Sigmoidoscopy shows ulcer in the sigmoid. Biopsy from this area shows flask-shaped ulcers. Which of the following is the most appropriate treatment ?
1. Intravenous ceftriaxone
2. Intravenous metronidazole
3. Intravenous steroids and sulphasalazine
4. Hydrocortisone enemas

Correct answer: 2. Intravenous metronidazole

Explanation: Ans. is 'b' i.e., Intravenous metronidazole Flask-shaped ulcer in a patient of GI bleed suggests amebiasis (amoebic dysentry). Drug therapy for amoebiasis Asymptomatic carrier --> Luminal agents (Iodoquinol, Paromomycine) Diloxanide furoate is the DOC. Acute colitis --> Metronidazole or Tinidazole + Luminal agent. Liver abscess Metronidazol or Tinidazole or ornidazole + Luminal agent.